Which of the following is a soft steroid useful in asthma?
1. Dexamethasone
2. Betamethasone
3. Ciclesonide
4. Hydrocortisone

Correct answer: 3. Ciclesonide

Explanation: Ciclesonide Inhaled corticosteroid. It is a prodrug which is metabolized to active compound by enzymes in the lungs. Thus, it has least risk of toxicity from systemic absorption when given by inhalational route. It is known as soft steroid.